Patient with chronic hypertension will show following changes on histology of kidney
1. Hyaline arteriosclerosis
2. Hyperplastic arteriosclerosis
3. Onion skin lesions
4. Vessel lumen dilatation

Correct answer: 1. Hyaline arteriosclerosis

Explanation: Ans. is 'a' i.e., Hyaline arteriosclerosis Hypertension is associated with two forms of small blood vessels disease ? 1. Hyaline arteriolosclerosis There is homogenous, pink, hyaline thickening of arteriolar wall. The lumen becomes narrow. It is characteristic of benign hypertension. It may also occur in diabetes and aging. 2. Hyperplastic arteriosclerosis It is characteristic of malignant hypertension. There is concentrentic, laminated thickening of arteriolar wall - onion skinning. There is mucinous intimal thickening and fibrous intimal thickening. There may be accompanied fibrinoid deposits with necrosis of the vessels wall - fibrinoid necrosis (or necrotizing arteriolitis). Favoured sites for hyperplastic arteriosclerosis are kidney, small intestine, gall bladder, peripancreatic fat, and periadrenal fat. Beside these hypertension also causes :- Atherosclerosis in large arteries. Degenerative changes in the walls of large and medium arteries that potentiate both aortic dissection and cerebrovascular hemorrhage.